A patient selected for surgery was induced with Thiopentone iv through one of anti cubital vein complains of severe pain of whole hand. The next line of management
1. Give IV propofol through same needle
2. IV ketamine through same needle
3. IV lignocaine through same needle
4. Leave it done

Correct answer: 3. IV lignocaine through same needle

Explanation: C i.e. IV lignocaine through same needle